Which of the following is most suggestive of neonatal small bowel obstruction?
1. Bilious vomiting
2. Refusal of feeds
3. Generalized abdominal distension
4. Failure to pass meconium in the first 24 hours

Correct answer: 1. Bilious vomiting

Explanation: Bilious vomiting in a newborn is abnormal and has to be considered as indicative of intestinal obstruction until proven otherwise. Ref: Bailey and Love's Short Practice of Surgery, 24th Edition, Page 1198; Fundamentals of Surgical Practice: A Preparation Guide for The Intercollegiate By Andrew Kingsnorth, Douglas Bowley, Page 577.